In the perspective of the busy life schedule in the modern society, the accepted minimum period of sexual cohabitation resulting in no offspring for a couple to be declared infertile is:
1. One year
2. One and a half
3. Two years
4. Three years

Correct answer: 1. One year

Explanation: Infertility implies apparent failure of a couple to conceive.
If a couple fails to achieve pregnancy after 1 year of unprotected and regular intercourse,
it is an indication to investigate the couple.